Which of the following is a scoring system for severity of wound infection, and is particularly useful for surveilance and research
1. Apgar score
2. Glasgow scoring system
3. Southamptom grading system
4. ASA classification

Correct answer: 3. Southamptom grading system

Explanation: assessment and management of surgical wounds is done by several scoring systems . Some of the popular ones are ASEPSIS and the Southampton Wound Assessment Scale Southampton Wound Assessment Scale takes bruising, erythema, serous, purulent discharges and tissue breakdown/haematoma as various levels of severity. ASA scoring is for fitness for surgery Glasgow coma scale (Glasgow scoring system) used to estimate a patient's level of consciousness after head injury Glasgow outcome score for outcome after head injury Glasgow-Imrie Criteria for acute pancreatitis (like Ransons scoring)